Which among the following causes Malta fever?
1. Treponema pallidum
2. Borrelia burgdorferi
3. Brucella melitensis
4. Pseudomonas aeruginosa

Correct answer: 3. Brucella melitensis

Explanation: Brucellosis, also called Bang's disease, Crimean fever, Gibraltar fever, Malta fever, Maltese fever, Mediterranean fever, rock fever, or undulant fever. The infection is transmitted from animals to humans. Brucella abortus (cattle), B suis (hogs), and B melitensis (goats) are the main agents. Transmission to humans occurs by contact with infected meat (slaughterhouse workers), placentae of infected animals (farmers, veterinarians), or ingestion of infected unpasteurized milk or cheese. The incubation period varies from a few days to several weeks. Brucellosis is a systemic infection that may become chronic. B. melitensis infections tend to be more severe and prolonged, whereas those caused by B. abortus are more self-limited. After an incubation period of 1 to 3 weeks, nonspecific symptoms such as fever, chills, fatigue, malaise, anorexia, and weight loss occur. The onset can be acute or gradual. The undulating (rising-and-falling) fever pattern that gives the disease its name occurs in a minority of patients. The treatment of choice is tetracycline plus rifampin. Prevention of brucellosis involves pasteurization of milk, immunization of animals, and slaughtering of infected animals. There is no human vaccine. Ref: Levinson W. (2012). Chapter 20. Gram-Negative Rods Related to Animal Sources (Zoonotic Organisms). In W. Levinson (Ed), Review of Medical Microbiology & Immunology, 12e.